Metastatic calcification is characterized by -
1. Hypercalcemia
2. Hypocalcemia
3. Eucalcemia
4. None of the above

Correct answer: 1. Hypercalcemia

Explanation: Ans. is 'a' i.e., Hypercalcemia Pathologic calcificationso Dystrophic calcification: Deposition of calcium at sites of cell injury and necrosis.o Metastatic calcification: Deposition of calcium in normal tissues, caused by hypercalcemia (usually a consequence of parathyroid hormone excess)